Which laser is used in the management of after cataracts:
1. Argon
2. Krypton
3. Nd-YAG
4. Excimer

Correct answer: 3. Nd-YAG

Explanation: Ans. Nd-YAG